MEN-1 include all except
1. Prolactiomas
2. Parathyroid hyperplasia
3. Pancreatic endocrine tumours
4. Medullary carcinoma thyroid

Correct answer: 4. Medullary carcinoma thyroid

Explanation: MEN 1 is characterised by the triad of tumours in the anterior pituitary gland, mostly presenting as prolactinomas or non-functioning tumours, hyperplasia of the parathyroids causing primary hyperparathyroidism (pHPT) and Pancreaticoduodenal endocrine tumours (PETs). also called Wermer's syndrome. It is caused by germline mutations in the menin gene, located on chromosome 11.MEN 2A is characterised by the combination of MTC, pHPT and mostly bilateral phaeochromocytomas. MTC combined with phaeochromocytoma alone is called Sipple's syndromeMEN 2B comprises MTC, phaeochromocytoma and characteristic facial and oral mucosal neurinomas and intestinal ganglioneuromatosis, accompanied by a Marfanoid habitus.Ref: Bailey and Love 27e pg: 856